A 43-year-old man is admitted to the hospital, having suffered a whiplash injury when his compact auto was struck from behind by a sports utility vehicle. MRI examination reveals some herniation of a disk in the cervical region. Physical examination reveals that the patient has lost elbow extension; there is absence of his triceps reflex and loss of extension of the metacarpophalangeal joints on the ipsilateral side. Which of the following spinal nerves is most likely affected?
1. C5
2. C6
3. C7
4. C8

Correct answer: 3. C7

Explanation: C7 is the main spinal nerve that contributes to the radial nerve and innervates the triceps. Absence of the triceps reflex is usually indicative of a C7 radiculopathy or injury.